All are criteria for 'Problem Village' EXCEPT
1. Radial distance > 1.6 kms
2. Depth > 50 m
3. Elevation > 100 m
4. Excess of Salt

Correct answer: 2. Depth > 50 m

Explanation: Problem village Radial distance - > 1.6 km Depth - >15 mtr. Elevation - > 100 mtr Excess of iron & salt, Arsenic, Fluoride